During surgery on the submandibular gland
1. Damage to the lingual nerve will cause loss of sensation to the posterior third of the tongue
2. The submandibular gland is seen to wrap around the posterior border of mylohyoid
3. The facial artery and vein are usually divided as they course through the deep part of the gland
4. The hypoglossal nerve is seen to Loop under the submandibular duct

Correct answer: 2. The submandibular gland is seen to wrap around the posterior border of mylohyoid